Superior quadrantanopia is seen in lesion of:
1. Parietal lobe
2. Temporal lobe
3. Frontal lobe
4. Occipital lobe

Correct answer: 2. Temporal lobe

Explanation: Ans: b (Temporal lobe) Ref: Khurana, 4th ed,p. 290Superior quadrantanopia is seen in temporal lobe lesions and inferior quadrantanopia is seen in parietal lobe lesions.Lesions of the visual pathway* Optic nerve- u/1 complete loss of vision* Optic chiasma(Central lesion)-bitemporal hemianopia* Lateral chiasma-binasal hemianopia* Optic tract- homonymous hemianopia* Lateral geniculate body- homonymous hemianopia* Optic radiation Total- complete homonymous hemianopiaParietal- inferior quadrantic hemianopia (pie on the floor)Temporal- superior quadrantic hemianopia (pie in the sky)* Visual cortex- congruous homonymous hemianopia +/- macular sparingWhen first order neurons are affected - first colour affected is blue If second order neurons are affected- first colour affected is red SiteLesionClinical featuresOptic nerveoptic atrophy, traumatic avulsion, acute optic neuritisloss of vision on the affected side + I/L loss of light reflexOptic chiasmasuprasellar aneurysms, pituitary tumours, craniopharyngioma, suprasellar meningioma, third ventricular dilatation due to obstructive hydrocephalusBitemporal hemianopia +Bitemporal hemianopic paralysis of papillary reflexesLateral chiasmal lesionsDistended third ventricle, atheroma carotids and PCABinasal hemianopia with binasal hemianopic paralysis of papillary reflexesOptic tract lesionsSyphilitic meningitis or gumma TB, tumours of optic thalamus, PCA aneurysmsHomonymous hemianopia with C/L hemianopic pupillary reactionLateral geniculate body Homonymous hemianopia sparing pupillary reflexesVisual cortexPCA occlusionHomonymous hemianopia sparing maculaPupillary light reflex- normal Optic radiation * TotalVascular occlusionsComplete homonymous hemianopia* Parietal lobeTraumaInferior quadrantic hemianopia (pie in the floor)* Temporal lobeTumoursSuperior quadrantic hemianopia (pie in the sky)